Which of the following drugs act through heptahelical receptors
1. Insulin
2. Estrogen
3. Local anaesthesia
4. Salbutamol

Correct answer: 4. Salbutamol

Explanation: Ref-KDT 6/e p45 GPCRs are heptahelical or serpentine receptor.salbutamol acts thrithr beta2 receptor which are GPCRs